Flaccid Bullae lesions with oral mucosal lesion. The finding in immunofluoscence is aEUR'
1. Fish net IgG in epidermis
2. Linear IgG in dermo epidermal junction
3. Granular IgA in dermal papillae
4. Linear IgA in reticular dennis

Correct answer: 1. Fish net IgG in epidermis

Explanation: Fish net IgG in epidermis Child with multiple flaccid bullae along with oral mucosal lesions suggests pemphigus. All patients suspected of having pemphigus should be evaluated inzmunopathologically. Immunofluorescene findings in common billions disorders Direct immunotlorescence Indirect immunoflorescence * Petriphigig IgG intercellular depositsQ Circulating IgG to cell in epidermis "(fish net pattern)" surface of epidermal cells These titres correlate with disease activity. * MMus C3 and IgG linear hand at Circulating IgG (in 70% pemphigoid Dermoepidermal junction2 patients that hind to base? ment inenthrone. * Chronic hull ous IgA, linear band at denno- Low titre of circulating disease of child- epidennaljunctionQ IgA hood (Linear IgA dermatosis of childhood) * Dermatitis IgA (-1- 0), granular deposit Circulating immune herpetiformis at dermal papillary tipsdeg complexes in less than 50%